External cephalic version (ECV) is CONTRAINDICATED in:
1. Primigravida
2. Flexed breech
3. Anemia
4. PIH

Correct answer: 4. PIH

Explanation: Ans. D i.e. PIH External version Conversion is done by External manipulation only Done for Breech presentation and Transverse lie. Internal version Done in Transverse lie in case of second baby of twins. Conversion is done by one hand introduced into the uterus and the other on the abdomen